The mother of a 6-month-old infant is concerned that her baby may be teething. You explain to her that the first teeth to erupt in most children are which of the following?
1. Mandibular central incisors
2. Maxillary lateral incisors
3. Maxillary first molars
4. Mandibular cuspids (canines)

Correct answer: 1. Mandibular central incisors

Explanation: In general, mandibular teeth erupt before maxillary teeth; teeth tend to erupt in girls before they do in boys. The first teeth to erupt usually are the mandibular central incisors at 5 to 7 months, followed by the maxillary central incisors at 6 to 8 months. Lateral incisors (mandibular then maxillary) erupt next at 7 to 11 months, followed by the first molars (10-16 months), the cuspids (16-20 months), and the second molars (20-30 months).